A child's growth variation is normal but bone development is not acc to the chronological age. What is diagnosis ?
1. Genetic
2. Dwarfism
3. Constitutional delay
4. Familial short stature

Correct answer: 3. Constitutional delay

Explanation: Ans. is 'c' i.e., Constitutional delay